Frist priority age group for vaccination of german measles -
1. 1-14 years male children
2. 1-14 years female children
3. 15-34 years female
4. 15-34 years male

Correct answer: 3. 15-34 years female

Explanation: Ans. is 'c' i.e., 15-34 years female o German measles is rubella.Immunization strategy to prevent congenital Rubella infectiono First priority is to protect women of child bearing age (15-34 or 39 years)o Next priority is to vaccinate all children currently 1 - 14 years of age (to intercept transmission)o Next priority is to vaccinate all children at one year of age (To intercept transmission)